On repeated use, which of the following inhalational anaesthetic agent can cause hepatitis:
1. Isoflurane
2. Halothane
3. Sevoflurane
4. Ether

Correct answer: 2. Halothane

Explanation: Halothane causes auto immune hepatitis Halothane produces byproduct during metabolism which causes autoimmune hepatitis Auto immune hepatitis d/t repeated use of halothane, preexisting liver dysfunction More seen in female patients, obese patients & middle age patients